Stapedius muscle is upplied by …..Nerve
1. Facial
2. Vagus
3. Glossopharyngeal
4. Trochlear

Correct answer: 1. Facial